Wermer syndrome is
1. MEN1
2. MEN IIA
3. MEN IIB
4. AIP

Correct answer: 1. MEN1

Explanation: Wermer syndrome is otherwise known as Multiple Endocrine neoplasia type 1 (MEN 1). It is characterised by primary hyperparathyroidism,endocrine tumours of pancreas, and abnormalities of pituitary (primarily prolactinoma). It is due to germline mutation of MEN1 tumour suppressor gene,which encodes a protein called menin. (Ref :ROBBINS text book of pathology)